A 28-year-old woman with type 1 diabetes presents to the clinic for evaluation of skin lesions on her leg. They are not painful or itchy and have developed gradually over time. There is no history of previous trauma to the site either.On physical examination the skin changes have a central depression and raised irregular margin. The surrounding area is not red, tender, or indurated. They are shown in Figure below. Which of the following is the most likely diagnosis?
1. eruptive xanthomas
2. necrobiosis lipoidica diabeticorum
3. gangrene
4. staphylococcal infection

Correct answer: 2. necrobiosis lipoidica diabeticorum

Explanation: Necrobiosis lipoidica diabeticorum is more frequent in females and may antedate other clinical signs and symptoms of diabetes. The plaques are round, firm, and reddish-brown to yellow in color. They most commonly involve the legs but can also involve the hands, arms, abdomen, and head. This in not a staphylococcal skin infection since it is not tender, indurated or warm to touch, and erythema nodosum is characterized by round, tender elevated lesions usually on the anterior shin.